What is the normal value of Arden index
1. 100-130
2. 130-150
3. 150-180
4. > 185

Correct answer: 4. > 185

Explanation: Results of EOG are interpreted by finding the Arden ratio (light size ratio) : light peak (LP) Arden ratio =. ______________________________________x100 Minimum height of dark trough(DT) Normal- 185 or above Subnormal - between 185 &165 Abnormal - below 165 Reference : anatomy and physiology , Khurana 3rd edition page no 238